First sinus developed:
1. Maxillary sinus
2. Frontal sinus
3. Sphenoidal sinus
4. Ethmoidal sinus

Correct answer: 1. Maxillary sinus